Mechanism of death in Sexual asphyxia?
1. Suicidal
2. Natural
3. Homicidal
4. Accidental

Correct answer: 4. Accidental

Explanation: Ans. d (Accidental) (Ref. Parikh FMT 6th ed., p 3.46; Apurba nandi 2nd ed., p 336; Reddy 20th ed., p 300)SEXUAL ASPHYXIA (autoerotic hanging)# It is essential to recognize the TRUE ACCIDENTAL NATURE of this death so as to avoid costly homicidal investigation and a false suicide verdict, which can have financial implications in respect of life insurance.# It is a peculiar type of hanging where the victims are usually young males with some of abnormal sexual behaviours, usually masochism or transvestism.# Sexual pleasure can be enhanced by partial reduction of blood supply to the brain, which is usually achieved by compressing the neck blood vessels with a padding under the contricting noose.# Since there is a fine line between the compression necessary to produce sexual pleasure and that which produces unconsciousness, the victim may place himself in a position of accidental blackout and unexpected death.